The exchange of gases between plasma and tissue fluid is a function of
1. Partial pressures
2. Hydrostatic pressures
3. Osmotic pressure differentials
4. Difference in volume percent of gases

Correct answer: 1. Partial pressures